Basal skull view (submentoveical view) X-ray is best to visualize :
1. Ethmoid sinus
2. Frontal sinus
3. Sphenoid sinus
4. Maxillary sinus

Correct answer: 3. Sphenoid sinus

Explanation: C i.e. Sphenoid Sinus Pleural effusion is best visualized by X Ray in decubitus posture (on same side of pleural effusion). Ipsilateral lateral decubitus is investigation of choice for minimal pleural effusionQ Ipsilateral (Same sided) lateral decubitus view leads to collection of even minimal fluid in the lateral pleural recess; making diagnosis of minimal pleural effusion easy. In pleural effusion, best view is - ipsilateral lateral decubitusQ - Right pleural effusion = Right lateral decubitus view. - Left pleural effusion = Left lateral decubitus view. - First 300 ml is not visualized on PA view (collect in subpulmonic region first, then spill into posterior costophrenic sinus). Lateral decubitus views may detect as little as 25 m1(2. Meig Salmon SyndromeQ: primary pelvic neoplasm (ovarian thecoma, granulosa cell tumor, Brenner tumor, cystadenoma, adeno CA, fibromyoma of uterus) cause pleural effusion, ascites + hydrothorax. These resolves with tumor removal. Disorders View Supraorbital Fissure Cald well viewQ Recurrent Shoulder Dislocation Striker's viewQ Sella Turica Scaphoid Patella Lateral skull view Oblique viewQ Skyline viewQ Minimal Pleural Effusion Lateral decubitus (Ipsilateral)Q Pneumothorax PA view in full expirationQ Minimal Pneumoperitoneum Chest X-ray view > left lateral decubitus with horizontal beamQ > standing/ erect abdomen View (Chest X-Ray) Structure seen RAO (Rt Anterior Oblique) Rt lung Lt. atrium Gall Bladder Mitral Valve LAO (Lt. Ant. Oblique) Tracheal Bifurcation Rt. Retrocardiac RPO (Rt Posterior Oblique) space Rt. Middle lobe Rt decubitus View Lardotic view ApexQ Lingual lobeQ Reverse lardotic view Interlobar effusionQ * In lingual lobe pathology there is obliteration of left cardiac shadow. * Golden S Sign seen in Rt upper lobe collapse. Veiw Structure Seen Cald well (Occipito- Frontal) View Mn- Fishing Lovely - Superior orbital FissureQ - Lamina papyracea & superior margin of orbit - Frontal sinus (Best seen)Q Front For - Foramen rotundum M - Maxillary sinus E - Ethmoid sinus Waters (0- - Maxillary sinus (Best M/Occipito Mental) seen)Q View - Sphenoid sinus (i ffilm is Mn - Maximum taken with open mouth)Q Spherical - Frontal sinus Front - Intratemporal fossa In the Zym - agoma & Zygomatic arch Basal - sphenoid, Posterior (submentoveical) ethmoid, maxillary sinus View (in that order)Q Mn - "SPM" - Zygoma & Zygomatic arch - Mandible along with coronoid & Condyloid process Stenver's (Oblique - Whole length of petrous posteroanterior) bone, petrous tip view - Internal auditory meatus (IAM) - Semicircular canals (superior & lateral) - Middle ear cleft - Mastoid antrum & mastoid process. Perobital view - Best view of IAM if tomography is unavailable - Petrous pyramid & apex - Vestibuli - Clinically bifurcation of trachea corresponds to: angle of louisQ (lower border of manubrium sterni) in front and disc between T4 T5 veebraeQ behind. Trachea is seen as a central radiolucent air filled structure in the upper thorax which divides at the level of 4th thoracic veebra (T4 a/t Clark's / usually at D5 or D6 level in adults (a/t AIMPS) into the right & left main bronchus. View (Chest X-Ray) Structure seen RAO (Rt Anterior Oblique) Rt lung Lt. atrium Gall Bladder Mitral Valve LAO (Lt. Ant. Oblique) Tracheal Bifurcation Rt. Retrocardiac RPO (Rt Posterior Oblique) space Rt. Middle lobe Rt decubitus View Lardotic view ApexQ Lingual lobeQ Reverse lardotic view Interlobar effusionQ